Which of the following is/are included in bipolar disease -a) Hypomaniab) Cyclothymiac) Paranoid disorderd) Hyperthymiae) Kleptomania
1. ac
2. ab
3. ad
4. bc

Correct answer: 2. ab